Gunshot residue on hands can be detected by:
1. Phenolphthalein test
2. Dermal nitrate test
3. Benzidine test
4. Hydrogen activation analysis

Correct answer: 2. Dermal nitrate test

Explanation: B i.e. Dermal nitrate test